Shifting fluid is pathognomonic of:
1. Solid retinal detachment
2. Rhegmatogenous retinal detachment
3. Tractional retinal detachment
4. Choroidal detachment

Correct answer: 1. Solid retinal detachment

Explanation: Ans. Solid retinal detachment